6 membered ring structure of monosaccharides are known as:
1. Pyran
2. Furan
3. Aldose
4. Ketose

Correct answer: 1. Pyran

Explanation: The ring structures of monosaccharides are similar to the ring structures of either pyran (a six-membered ring) or furan (a five-membered ring). For glucose in solution, more than 99% is in the pyranose form. Ref: Harper 28th edition, chapter 14.